Endemicity of a disease means:
1. Occurs clearly in excess of normal expectancy
2. Is constantly present in a population
3. Exhibits seasonal pattern
4. Is prevalent among animals

Correct answer: 2. Is constantly present in a population

Explanation: Endemic Is the constant presence of a disease agent in a defined geographical area ; refers to 'usual or expected frequency' of a disease in a population. For instance, common cold is endemic because somebody always has one. Endemic diseases in India are : Measles, mumps, rubella, chicken pox, pertussis, TB, HIV, Cancers, diabetes, hypertension etc. Epidemics can arise from uncontrolled endemics also.